True statements about Y. Pestis is/are -a) Gram positiveb) Non-motilec) Benzyl penicillin is given in prophylaxisd) Patients are kept isolated till 48 hours of treatmente) Repeated blood culture is diagnostic
1. abc
2. ade
3. ace
4. bde

Correct answer: 4. bde